True about primary sclerosing cholangitis are all except
1. Commonly affect 40-45 years of age
2. Jaundice is seen
3. More common in females
4. Associated with UC

Correct answer: 3. More common in females

Explanation: Clinical features of PSC More common in males, mean age at presentation is 40-45 years About 75 %of patients are asymptomatic at presentation with evidence of cholestatic liver disease such as jaundice, Pruritus and fatigue Symptoms of bacterial cholangitis are uncommon Condition is characterized by relapses & remissions with quiescent periods Median survival from the time of diagnosis ranges from 10 to 12 years Ref: Sabiston 20th edition Pgno :1508-1509